The most common cause of malignant adrenal mass is
1. Adrenocortical carcinoma
2. Malignant phaeochromocytoma
3. Lymphoma
4. Metastasis from another solid tissue tumor

Correct answer: 4. Metastasis from another solid tissue tumor

Explanation: Ans. is 'd' i.e., Metastasis from another solid tissue tumor The most common cause of adrenal tumors is metastasis from another solid tumor like breast cancer and lung cancer. Malignant Percentage Adrenocortical carcinoma 2-5% Malignant pheochromocytoma <I% Adrenal neuroblastoma <0- 1% Lymphomas (incl. primary adrena lymphoma) <1% Metastases (most frequent : Breast, lung) 15%